Following total thyrordectory the patient duclops respiratory stridor cause is
1. B/L recurrent laryngeal nerve palsy
2. B/L complete palsy
3. U/L recurent laryngeal nerve palsy
4. U/L complete palsy

Correct answer: 1. B/L recurrent laryngeal nerve palsy